Panton-valentine leucocidin is seen in infection with-
1. Streptococci
2. Staphylococci
3. Gonococci
4. Pneumococci

Correct answer: 2. Staphylococci

Explanation: Ans. is 'b' i.e., Staphylococci . Staphylococcal leucocidin and gamma lysin have been grouped as synergohymenotropic toxins. Leucocidin is also called as Panton-valentine toxin.